In theophylline metabolism, drug interactions Occur with all Except:
1. Cimetidine
2. Phenobarbitone
3. Rifamipine
4. Tetracyclines

Correct answer: 4. Tetracyclines

Explanation: Phenobarbitone, rifampin enhance theophylline metabolism Cimetidine inhibits theophylline metabolism ESSENTIALS OF MEDICAL PHARMACOLOGY 7TH EDITION KD TRIPATHI Page No:226,227